A 10 year old boy developed hoarseness of voice following an attack of diphtheria. On examination, his Rt vocal cord was paralysed.The treatment of choice for paralysed vocal cord will be:
1. Gel foam injection of right vocal cord
2. Fat injection of right vocal cord
3. Thyroplasty type-I
4. Wait for spontaneous recovery of vocal cord

Correct answer: 4. Wait for spontaneous recovery of vocal cord

Explanation: Unilateral paralysis of cord due to neuritis (as in diphtheria) does not require any treatment as it recovers spontaneously. The characteristic features of diphtherial neuropathy is that it recovers completely.